Herpes zoster ophthalmicus is predictor of:
1. Leukemia
2. Lymphoma
3. HIV
4. All

Correct answer: 4. All

Explanation: A i.e. Leukaemia; B i.e. Lymphoma; C i.e. HIV Herpes zoster ophthalmicus is caused by varicella-zoster virus (DNA virus) After an infection with chicken pox in childhood or youth the virus lies dormant in Gasserian ganglion of trigeminal nerve to appear later, particularly in elderly people with depressed cellular immunity e.g. cancer, leukaemia, AIDS, lymphoma, immunosuppressed organ transplant recipients, metastasis, disseminated, T.B. etc.